All are used in OCD except:
1. Clomipramine
2. Behavioural therapy
3. SSRIs
4. ECT

Correct answer: 4. ECT

Explanation: Ans: d (ECT) Ref: Previous questionOCDs have now been categorized under anxiety disorders.Compulsions are defined as repetitive acts, behaviours, or thoughts that are designed to counteract the anxiety associated with an obsession. The key characteristic of a compulsion is that it reduces the anxiety associated with the obsession.OCD frequently co-occurs with other disorders. The association with major depression is particularly prominent.OCD exhibits a particularly interesting association with Tourette's syndrome. Approximately half of all patients with Tourette's syndrome meet criteria for OCDThe prevalence of the disorder is approximately equal in men and women, although men tend to have an earlier onset than women do.OCDs typically begin in late adolescence, although onset in childhood is not uncommon Washing of hands or the whole body is the commonest OCD.Treatment PsychotherapyBehaviour therapy andCognitive therapy:(Very effective modes of treatment).The techniques used are:A) Thought stoppingB) Response preventionC) Systemic desensitizationD) ModelingDrug treatmenta) Benzodiazepinesb) Antidepressants-The SSRIs are the main agents used. Fluoxetine with its low side effect profile has become the preferred drug. Other drugs are clomipramine, fluvoxamine.etcc) Antipsychoticsd) Buspirone